Wide pulse pressure is seen in
1. Beri beri
2. Cardiac tamponade
3. Diarrhea
4. Aortic  stenosis

Correct answer: 1. Beri beri

Explanation: Wide pulse pressure is when SBP increases by more than 50%. It is seen in:

Aortic regurgitation 
PDA
Anemia
Beri beri
Hyperthyroidism 
Fever
Complete  heart block
AV shunts